Treatment of choice in ulcerative colitis is:
1. 5 - aminosalicylic acid
2. Azathiorprine
3. Metronidazole
4. Salicylates

Correct answer: 1. 5 - aminosalicylic acid

Explanation: 5-ASA is the active metabolite of sulfasalazine which exerts anti-inflammatory action. The mainstay of therapy for mild to moderate UC is sulfasalazine and the other 5-ASA agents. These agents are effective at inducing and maintaining remission in UC. They may have a limited role in inducing remission in CD but no clear role in maintenance of CD.